All of the following are supports of uterus except
1. Pelvic diaphragm
2. Uterosacral ligament
3. Tubo ovarian ligament
4. Round ligament

Correct answer: 3. Tubo ovarian ligament

Explanation: The ovarian ligament connects the ovary to the fallopian tube.The pelvic diaphragm is made up of muscles: levator ani and coccygeus muscles.The uterosacral ligament are a pair of fibrous bands extending from cervix to 2nd and 3rd sacral vertebrae and pass on to each side of the rectum.The round ligaments lie between the 2 layers of the broad ligament. They begin t the lateral angle of the uterus, traverses the inguinal canal and finally merges with the fibro-areolar tissue of labium majus.Reference: Textbook of anatomy, Abdomen and lower limb, Vishram Singh, 2nd edition, page no.273-274